Which of the following methods is used for deflouridation?
1. Boiling
2. Nalgonda
3. Nalanda
4. None of the above

Correct answer: 2. Nalgonda